The genetically engineered 'golden rice' is rich in ?
1. 13-carotene and magnesium
2. Folic acid and iron
3. n-carotene and iron
4. Folic acid and magnesium

Correct answer: 3. n-carotene and iron

Explanation: Ans. is 'c' i.e., n-carotene and iron